Antitussive opioid is ?
1. Ethylmorphin
2. Pethidine
3. Methadone
4. Buprenorphine

Correct answer: 1. Ethylmorphin

Explanation: Ans. is 'a' i.e., Ethylmorphine Antitussives (cough center suppressants) Opioids : Codeine, ethylmorphine, pholcodeine. Non-opioids : Noscapine, dextro methorphan, chlophedianol. Antihistaminics : Chlorpheniramine, diphenhydromine, promethazine. Peripherally active : Prenoxdiazine.